Aminoacyl tRNA synthetase is required for all except:
1. Lysine
2. Cysteine
3. Methionine
4. Hydroxyproline

Correct answer: 4. Hydroxyproline

Explanation: Some proteins contain additional amino acids that arise due to post-translational modification of existing amino acyl residues. Examples: Vitamin C mediated hydroxylation of proline and peptidyl lysine to 4-hydroxyproline and 5-hydroxylysine Vitamin K mediated g-carboxylation of glutamate Methylation Formylation Acetylation Prenylation (addition of fatty acid residues) Glypiation (addition of Glycosyl PI anchor) Phosphorylation Therefore Aminoacyl tRNA synthetase is not required by these.